Loss of recognition of object by its feel seen with lesion of
1. Fasciculus gracilis
2. Lateral spinothalamic tract
3. Anterior column
4. Fasciculus cuneatus

Correct answer: 4. Fasciculus cuneatus

Explanation: (D) Fasciculus cuneatus > Fasciculus cuneatus ends in nucleus cuneatus, conscious proprioception carries out.> Carries crude touch, pressure & position vibration> Fibres from fasciculus cuneatus also end in cerebellum.